Which of the following is not useful for coagulation
1. Plasmin
2. Thrombin
3. Calcium
4. Fibrin

Correct answer: 1. Plasmin